Ureaplasma is naturally resistant to -
1. Erythromycin
2. Tetracycline
3. Chloramphenicol
4. Cephalosporins

Correct answer: 4. Cephalosporins

Explanation: As there is lack of peptidoglycan layer, hence Ureoplasma is naturally resistant to all beta lactams